What does priapism in a polytrauma patient signify -
1. Penile injury
2. Spinal Injury
3. Significant head injury
4. Pelvic injury

Correct answer: 2. Spinal Injury

Explanation: Answer- B. Spinal InjuryPriapism may be a feature of spinal cord injury.